The highest mercury concentration in amalgam filling is found:
1. At the margin of the restoration
2. In the centre of the restoration
3. In the deepest part of the restoration
4. None of the above

Correct answer: 1. At the margin of the restoration

Explanation: Mercury analysis of a large number of restorations reveals that the mercury content of the marginal areas averages between 2% to 3% higher than the bulk of the restoration. This is true regardless of the condensation method or the “dryness” of the increments used to build the restoration.
Reference: PHILLIPS’ SCIENCE OF DENTAL MATERIALS, 12th ed page no 352